Which is not elevated in a child presenting with jaundice, icterus, pruritus & clay coloured stools.
1. Gamma glutanyl transpeptidase
2. Alkaline phosphatase
3. 5'-nucleotidase
4. Glutamate dehydrogenase

Correct answer: 4. Glutamate dehydrogenase

Explanation: Ans. is 'd' i.e. Glutamate dehydrogenase Jaundice, icterus, clay coloured stools, pruritus, all suggest cholestatic jaundiceThese three enzymes are usually elevated in cholestasis 1. Alkaline phosphatase 5'-nucleotidaseGamma glutamyl transpeptidase